Which of the following melanomas do not have an in situ growth phase?
1. Superficial spreading melanoma
2. Nodular melanomas
3. Lentigo maligna melanoma
4. Desmoplastic melanoma

Correct answer: 2. Nodular melanomas

Explanation: Nodular melanomas are the only type in which the malignant melanoma cells appear to have the capacity for invasive growth into the dermis and beyond from the beginning, without an in situ phase, and these tumours develop rapidly and is difficult to diagnose at an early stage. Ref: Rook's textbook of dermatology, 8th edition, Pg 54.36.